For porcelain fused to metal crown, the porcelain should have?
1. High fusion expansion
2. High fusion temperature
3. Linear coefficient of thermal expansion less than that of metal
4. Linear coefficient of thermal expansion more than that of metal

Correct answer: 3. Linear coefficient of thermal expansion less than that of metal